Flapping tremors are seen in all EXCEPT:
1. Hepatic encephalopathy
2. Uremia
3. Thyrotoxicosis
4. Co, narcosis

Correct answer: 3. Thyrotoxicosis

Explanation: Thyrotoxicosis REF: Harrison's 17ed p chapter 295, http://en.wikipedia.org/wiki/Asterixis Asterixis (also called the flapping tremor, or liver flap) is a tremor of the wrist when the wrist is extended (dorsiflexion), sometimes said to resemble a bird flapping its wings. Usually there are brief, arrhythmic interruptions of sustained voluntary muscle contraction causing brief lapses of posture, with a frequency of 3-5 Hz. It is bilateral, but may be asymmetric. Asterixis (flapping tremor) is found in: Hepatic encephalopathy Acute hepatic failure Metabolic encephalopathy Renal failure and azotemia Carbon dioxide toxicity Wilson's disease